The inverse stretch reflex
1. Occurs when muscle length changes
2. Is a monosynaptic reflex initiated by activation of the Golgi tendon organ
3. Is a disynaptic reflex activated on change in tension
4. Uses type II afferent fibres from the Golgi tendon organ

Correct answer: 3. Is a disynaptic reflex activated on change in tension

Explanation: Golgi tendons organs are encapsulated stretch receptors located in the tendons that causes muscle relaxation when the tension becomes great enough. Golgi tendon organs, unlike the spindles, are in series with the muscle fibers. The tendon organ, like the primary receptor of the muscle spindle, has both a dynamic response and a static response Stretch reflex is monosynaptic while inverse stretch reflex is a disynaptic with a single interneuron inserted between the afferent and efferent limbs The spindle detects muscle length and changes in muscle length, whereas the tendon organ detects muscle tension Afferent for stretch receptor Ia, while for inverse stretch reflex: Ib